Failure rate of Copper IUCD is -
1. 3-4%
2. 0.01-0.03%
3. 0.5-1.5%
4. 4-5%

Correct answer: 3. 0.5-1.5%

Explanation: Ans. is 'C' i.e., 0.5-1.5% Pearl Index of IUD * IUDs can be divided into three groups according to the pregnancy rate, indicating their contraceptive efficacy: 1) Group I (pregnancy rates greater than 2.0 per 100 women-year): Lippes loop, Cu 7 T 200 2) Group II (pregnancy rates less than 2.0 but more than 1 per 100 women-year): Nova T, ML Cu 250, and Cu T 220C 3) Group III (pregnancy rates less than 1 (mostly less than 0.5) per 100 women-year): Cu T 380A, Cu T 380S, ML Cu 375, and LNG 20